After Renal transplantaton, which drug is given:a) Cyclophosphamideb) Corticosteroidsc) Interferond) Cyclosporine
1. c
2. d
3. ab
4. bd

Correct answer: 4. bd